Which of the following frequently induce bends within α helices?
1. Threonine
2. Tyrosine
3. Glycine
4. Serine

Correct answer: 3. Glycine

Explanation: Because it possesses such a small R group, glycine frequently induces bends within α helices.
Ref: Harper’s illustrated biochemistry. 30th edition page no: 38